Elimination after 4 half lives in first order Kinetics is -
1. 84%
2. 93%
3. 80.50%
4. 4.75%

Correct answer: 2. 93%

Explanation: Ans. is 'b' i.e., 93% Half life Elimination I t1/2 50% 2 0/2 75% 3 t1/2 87.5% 41% 93.75% 5 t1/2 96.875